Dubin Johnson syndrome characteristically makes the liver:
1. Black
2. Blue
3. Red
4. White

Correct answer: 1. Black

Explanation: This rare autosomal recessive condition, characterized by conjugated hyperbilirubinemia, with normal liver transaminases, a unique pattern of urinary excretion of heme metabolites (coproporphyrin) and the deposition of a pigment, that gives liver a characteristic black color.